Fibromyoma is seen in age group
1. Reproductive
2. Early adolescence
3. Latepostmenopausal
4. Prepubertal

Correct answer: 1. Reproductive

Explanation: Ans. is'a'i.e., ReproductiveFibroids are the most common benign solid tumours in females.It is the most common Pelvic tumourMost commonly affects the reproductive age group.Most commonly seen in nulliparous common